Treatment of ventilator associated pneumonia (VAP) caused by MDR Acinetobacter baumannii is:
1. Quinupristin and dalfopristin
2. Colistin
3. Lavendamycin
4. Tedizolid

Correct answer: 2. Colistin

Explanation: Only 2 forms of polymyxin are in clinical use today- Polymyxin B :- Parenteral, ophthalmic, topical. - Polymyxin E (Colistin):- * Available as prodrug * IV /inhaled nebulizer* Used as salvage therapy for multidrug resistant infection* S/E: - Nephrotoxicity- Neurotoxicity Dalfopristin/Quinuprostin:- Reserved for treatment of severe vancomycin- resistant Enterococcus faecium (VRE) in the absence of other therapeutic options.